A large baby is born with which complication in pregnancy :
1. Gestational diabetes
2. Gestational hypertension
3. Cardiac disease
4. Anaemia

Correct answer: 1. Gestational diabetes

Explanation: Macrosomia is the term used to describe a large fetus A birth weight at term of 4000g or more is considered as macrosomia in the indian context. Risk Factors: Maternal diabetes Maternal obesity Previous large baby Post term pregnancy Multiparity In Maternal Diabetes, Fetal macrosomia with birth weight of >4kgs results from Maternal Hyperglycemia-->hypertrophy and hyperplasia of the fetal islets of langerhans-->increases secretion of fetal insulin-->stimulates carbohydrates,utilization and accumulation of fat. Insulin like growth factors are also involved in fetal growth and adiposity. Elevated maternal free fatty acid in DM leads to increased transfer to the fetus-->accelaration of triglyceride synthesis-->adiposity. TEXT BOOK OF OBSTETRICS,Sheila Balakrishnan,2nd edition,page no.389 and DC DUTTA'S TEXTBOOK OF OBS,9th edition,page no.265